In primary pulmonary hypertension, basic abnormality in gene lies in
1. Bone morphogenic protein receptor II
2. Endothelin
3. Homebox gene
4. PAX - 11

Correct answer: 1. Bone morphogenic protein receptor II

Explanation: Decreased expression of the voltage-regulated potassium channel, mutations in the bone morphogenetic protein-2 receptor, increased tissue factor expression, overactivation of the serotonin transporter, transcription factor activation of hypoxia-inducible factor-1 alpha, and activation of nuclear factor of activated T cells. As a result, there appears to be a loss of apoptosis of the smooth muscle cells that allow their proliferation and the emergence of apoptosis-resistant endothelial cells that can obliterate the vascular lumen.Ref: Harrison's 18/e p2077